A 48-years old woman comes with bilateral progressive weakness of both lower limbs, spasticity and mild impairment of respiratory movements. MRI shows an intradural mid-dorsal midline enhancing lesion. What is the diagnosis?
1. Intradural lipoma
2. Meningioma
3. Neuroenteric cyst
4. Dermoid cyst

Correct answer: 2. Meningioma

Explanation: Ans. (b) MeningiomaCNS tumors can be Intra axial or Extra axial:Intra axial:* Neuronal* Astrocytoma* Lymphoma Extra axial:* Pituitary* Schwannoma* Meningioma